Giant cell tumor is seen at ?
1. Epiphysis
2. Metaphysis
3. Diaphysis
4. Growth plate

Correct answer: 1. Epiphysis

Explanation: Ans. is 'a' i.e., Epiphysis